Delayed wound healing is seen in all EXCEPT:
1. Malignancy
2. Diabetes
3. Hypertension
4. Infection

Correct answer: 3. Hypertension

Explanation: Ans. C i.e. HypertensionWounds & tissue repairHealing by primary/ 1st intention:- Closed wounds,- Edges approximated- e.g. clean skin incision closed with suturesFactors delaying wound healing:- Vitamin C deficiency,- Presence of vitamin E (inhibitory role),- Deficiency of trace metals (zinc, copper etc.),- Absence of oxygen (reduced perfusion),- Anemia,- Infection etc.